Gerlach tonsil in Waldeyer’s ring is
1. Tubal tonsil
2. Palatine tonsil
3. Pharyngeal tonsil
4. Lingual tonsil

Correct answer: 1. Tubal tonsil

Explanation: The tubal tonsil is one of the four main tonsil groups comprising Waldeyer's tonsillar ring, which also includes the palatine tonsils, the lingual tonsils, and the pharyngeal tonsils.